Which of the following is used for preservation of alcohol?
1. Potassium acetate
2. Sodium sulphide
3. Sodium fluoride
4. Glycerine

Correct answer: 3. Sodium fluoride

Explanation: (Sodium fluoride)

Sodium fluoride is a useful preservative in a suspected case of alcohol poisoning.
It is done with mixing 10 mL of blood with potassium oxalate & sodium fluoride (enzyme inhibitors)
for suspected alcohol poisoning.
A preservative (sodium fluoride, 0.5 -2% weight by volume) should be added after collecting a vitreous humour sample for ethanol analysis in postmortem toxicology cases.
Gastric contents can be stored in saturated salt solution.